Esophageal carcinoma is not predisposed by -
1. Achalasia
2. Scleroderma
3. Corrosive intake
4. Barret's esophagus

Correct answer: 2. Scleroderma

Explanation: Answer is 'b' i.e. Scleroderma